Proteus antigen cross react with:
1. Klebsiella
2. Chlamydiae
3. Rickettsiae
4. E. coli

Correct answer: 3. Rickettsiae

Explanation: Ans. 'c' i.e., Rickettsiae(Ref: Ananthanarayan, 9th/e, p. 410)Proteus antigens (OX19, OX2, OXK Strains) cross reacts with group specific alkali stable lipopolysaccharide rickettsial antigens. The application of this property is done in the Weil Felix (heterophile agglutination) test.